The rate limiting enzyme in glycolysis is
1. Glucose 6- dehydrogenase
2. Phosphofructokinase
3. Glucokinase
4. Pyruvate kinase

Correct answer: 2. Phosphofructokinase

Explanation: (Phosphofroctokinase) (152- Harper 27th) (108- Lippincott's)Phosphofroctokinase - is the pace- setting (rate- limiting) enzyme of glycolysis. It is inhibited by ATP and citrate uses fructose 6- phosphate as substrate, and catalyzes a reaction that is for from equilibrium. The reaction is activated by fructose 2- 6 biphosphate